An 18 month old child with ambiguous genitalia presented to the hospital, his BP is 118/78 mm Hg, Serum K+ is 6 mEq/L, serum sodium is 120 mEq/L. Patient was started on I.V. fluids. What additional specific therapy will you add?
1. Hydrocortisone
2. Potassium binding resin
3. Digoxin
4. Calcium gluconate

Correct answer: 1. Hydrocortisone

Explanation: Clinical scenario and investigational findings point towards diagnosis of Congenital Adrenal Hyperplasia. All patients with classical CAH require replacement therapy with Hydrocortisone . Those with salt wasting also require mineralocorticoid replacement. The goals of therapy are to restore levels of physiological steroid hormones to the normal range